For high pressure storage of compressed gases cylinders are made up of –
1. Molybdenum steel
2. Iron + Mo
3. Steel + Cu
4. Cast iron

Correct answer: 1. Molybdenum steel

Explanation: Gas cylinders are made from a steel alloy of molybdenum, which is resistant to corrosion.
Aluminum cylinders are also available in western countries.